All of the following are true about Right Ventricular Infarcts, Except?
1. Nocturia
2. Hepatomegaly
3. Ascites
4. Orthopnea

Correct answer: 4. Orthopnea

Explanation: Right ventricular Infarcts will cause failure of Right Ventricle resulting in systemic congestion and features of Right heart failure. Orthopnea is typically a feature of left heart failure. Heart Failure: Left Heart Failure: Left heart failure is defined as clinical syndrome where the dominant feature is fluid congestion in the lungs (pulmonary) rather than in the systemic circulation. The Pulmonary capillary wedge pressure is typically elevated (increased PCWP). Right Heart Failure: Right heart failure is defined as a clinical syndrome where the dominant feature is congestion in the systemic circulation. The Pulmonary capillary wedge pressure is normal (Normal PCWP) Ref: Hurst 72th Pgno: 692